Schwartz sign is seen in:
1. Meniere's disease
2. Otosclerosis
3. Lateral sinus thrombosis
4. Cholesteatoma

Correct answer: 2. Otosclerosis

Explanation: Schwartz sign also known as Flemingo's pink sign, is a diagnostic indicator for otosclerosis, a disease of the bones of the middle or inner ear. In clinical examination of the ear drum, increased vascularity of the promontory may be seen through the ear drum.